Following statements are true on dark ground microscopy EXCEPT -
1. Suitable for slender organism like spirochetes
2. Dark field field condenser with a central circular stop used to illuminate the object -
3. Light falling on the object with a dark background reflects and objects appear self luminous
4. Transmitted light is used to illuminate the object

Correct answer: 4. Transmitted light is used to illuminate the object

Explanation: Darkfield / Dark ground microscope in which reflected light is used instead of transmitted light used in an ordinary microscope. The essential part of the dark field microscope is the dark field condenser with central circular stop, which illuminates the object with a cone of light without letting any ray of light fall directly on the objective lens. Light rays falling on the object are reflected or scattered on to the objective lens with the result that the object appears self-luminous against a dark background. The contrast gives an illusion of increased resolution, so that very slender organisms such as spirochetes, not visible under ordinary illumination, can be clearly seen under a dark field microscope Ref: Ananthanarayan & paniker's Textbook of Microbiology 9th edition pg no 11